Which of the following statements is true regarding fat embolism
1. Most patients with major trauma involving long bones have urinary fat globules
2. All patients with urinary fat globules develop fat embolism
3. Peak incidence of respiratory insufficiency for pulmonary fat embolism is around day 7 after injury
4. Heparin as an anti coagulant decreases mortality and morbidity in fat embolism syndrome

Correct answer: 1. Most patients with major trauma involving long bones have urinary fat globules

Explanation: . Fat embolism is common in fracture of long bones,multiple fractures.It is also observed after intramedullary nailing,liposuction,joint reconstruction,parentral lipid infusion,cardiopulmonary bypass and pathological fractures. Refer page no 194 of SRB's manual of surgery 5 th edition.